Which of the following is not a method of reduction of a posterior hip dislocation:
1. Stimson's gravity method
2. Allis method
3. Kocher's maneuver
4. Bigelow's method

Correct answer: 3. Kocher's maneuver

Explanation: Kocher's maneuver is used for the reduction of shoulder dislocation. These are methods of Closed hip reduction: Allis maneuver Stimson maneuver Lefkowitz maneuver East Baltimore lift maneuver Bigelow maneuver